False regarding delirium tremens ?
1. Tremors
2. Opthalmoplegia
3. Visual hallucination
4. Clouding of consciousness

Correct answer: 2. Opthalmoplegia

Explanation: Ans. is 'b' i.e., Ophthalmoplegia Delirium tremens Delirium tremens is the most severe alcohol withdrawal syndrome. It occurs usually within 2-4 days of complete or significant alcohol abstinence. This is an acute organic brain syndrome (delirium) with characteristic features of delirium. Clouding of consciousness with disorientation in time and place. Poor attention span and distractability. Visual (and also auditory) hallucination, and illusion. Tactile hallucination of insect crawling under the skin (formication) may also occur. Marked autonomic disturbances with tachycardia, sweating, hypertension, mydriasis, coarse tremers. Insomnia, psychomotor agitation, ataxia, anxiety. Benzodiazepines are the drugs of choice for delirium tremens. Chlordiazepoxide is the agent of choice with diazepam as an alternative.